Climbing fibres of cerebellar cortex are -
1. Olivocerebellar fibres
2. Spinocerebellar fibres
3. Pontocerebellar fibres
4. Vestibulocerebellar fibers

Correct answer: 1. Olivocerebellar fibres

Explanation: Ans. is 'a' i.e., Olivocerebellar fibers o Input (afferent) cerebellum comes from two fibers.Climbing fibers (olivocerebellar fibers) bring information from inferior olivary nuclei only.Mossy fibers bring information from all other parts of the body.